The dental condition illustrated in Figure below is usually associated with a congenital infectious disease. The teeth are characterized by centrally notched, widely spaced, peg-shaped upper central incisors and molars that have poorly developed cusps. Which of the following is the most likely diagnosis?
1. congenital rubella
2. congenital syphilis
3. congenital toxoplasmosis
4. congenital HIV

Correct answer: 2. congenital syphilis

Explanation: Figure illustrates Hutchinson teeth, which is a manifestation of late congenital syphilis. This may be associated with cardiovascular and neurologic manifestations as well as "saddle nose" and "saber shins."